Measures of dispersion variability:
1. Variance
2. Standard deviation
3. Range
4. All of the above

Correct answer: 4. All of the above

Explanation: Measures of dispersion variability:

Variance
Standard deviation
Range
Interquartile range